Best prognosis in infertile women is seen in/most reversible form of infertility is:
1. Tubal block
2. Anovulation
3. Oligospermia
4. Endometritis

Correct answer: 2. Anovulation

Explanation: Ans. is b, i.e. AnovulationRef: Kistner's Gynecology 6th/ed, p279; Novak I4th/ed, p1206"Disorders of ovulation account for about 30-40% of all cases of female infertility. These disorders are generally among the most easily diagnosed and most easily treatable causes of infertility." - Ref: Novak 14th/ed, p1206* In couples with infertility ovulatory disorder have the best prognosis. Relatively poor prognosis is observed in male factor infertility and tubal factor infertility.* Prognosis can be arranged as below in descending order on the basis of cumulative pregnancy.Ovulatory factor > unexplained > Malefactors > Endometriosis > Tubal factors.